Which of the following chromosome contain BRCA1 gene?
1. 17
2. 18
3. 20
4. 21

Correct answer: 1. 17

Explanation: BRCA1 was the first breast cancer susceptibility gene identified and has been mapped to 17q21. BRCA2, mapped to 13q12.3. BRCA1 and BRCA2 encode for large nuclear proteins that have been implicated in processes fundamental to all cells, including DNA repair and recombination, checkpoint control of the cell cycle, and transcription. Ref: Meric-Bernstam F., Pollock R.E. (2010). Chapter 10. Oncology. In F.C. Brunicardi, D.K. Andersen, T.R. Billiar, D.L. Dunn, J.G. Hunter, J.B. Matthews, R.E. Pollock (Eds), Schwartz's Principles of Surgery, 9e.